HbH is associated with -
1. Deletion of 3 alpha genes
2. Deletion of 4 alpha genes
3. Deletion of 3 beta genes
4. Deletion of 4 beta genes

Correct answer: 1. Deletion of 3 alpha genes